Spermatozoa get nourishment from:
1. Glucose
2. Fructose
3. Galactose
4. Lactose

Correct answer: 2. Fructose